In RDS all of the following statements are true except
1. Usually occurs in infants born before 34 weeks of gestation
2. Is more common in babies born to diabetic mothers
3. Leads to cyanosis
4. Is treated by administering 100% oxygen

Correct answer: 4. Is treated by administering 100% oxygen

Explanation: Administration of 100% oxygen may increase the O2 load on fetal lung tissue. Hence, it is not given . Reference: GHAI Essential pediatrics, 8th edition